Risk of sear rupture in classical cesarean section is –
1. 0%-1-5%
2. l-5%-4%
3. 10%- 12%
4. 4%-9%

Correct answer: 4. 4%-9%

Explanation: The currently accepted indications for a classical cesarean section are:

Perimortem Cesarean Delivery
Placenta previa with fetal malpresentation such as transverse lie.
Preterm delivery in which the lower uterine segment is poorly developed.
Carcinoma cervix